Winging of scapula is due to paralysis of:
1. Nerve to trapezius
2. Nerve to serratus anterior
3. Nerve to latissimus dorsi
4. Nerve to pectoralis major

Correct answer: 2. Nerve to serratus anterior

Explanation: Ans. B Nerve to serratus anteriorRef: Gray's Anatomy 41st ed. P 819* Winging of scapula is due to paralysis of serratus anterior muscle.* Nerve supplying serratus anterior muscle: Long thoracic nerve (C5, 6, 7). Therefore long thoracic nerve palsy can also lead to winging of scapula.* Vascular supply: Serratus anterior is supplied by superior and lateral thoracic arteries, and by branches from the thoracodorsal artery after it divides in latissimus dorsi.